True about slow sand filter is
1. Occupies less space
2. More expensive
3. Requires longer duration
4. Sand size 0.4-0.7 mm

Correct answer: 3. Requires longer duration